Target or Iris lesion are seen in:
1. Urticaria
2. Erythema multiforme
3. Scabies
4. Lichen planus

Correct answer: 2. Erythema multiforme

Explanation: Ans. B. Erythema Multiforme (EM)* It is an acute self-limited, usually mild and often relapsing mucocutaneous syndrome* MCC is infection with Herpes simplex virus.* 2nd MCC: Mycoplasma pneumonia.Clinical Presentation* Occurs in all ages but mostly in adolescents & young adults, with a slight male preponderance.* Characteristic Target/lris/Bull's eye/Annular lesion.* Most occur in symmetric acral distribution on extensor surface of extremities (hand, feet, elbow & knees), face & neck and appear less frequently on thigh, buttocks & trunk.* Influenced by mechanical factors (Koebner's phenome- non) & actinic factors (predilection of sun exposed sites).